Which of the following drug is not used in the treatment of preterm labour?
1. Ritodrine
2. MgSO4
3. Salbutamol
4. Chlorpromazine

Correct answer: 4. Chlorpromazine

Explanation: Ritodrine, salbutamol and magnesium sulphate are tocolytic drugs used to terminate preterm labour and delivery. Other tocolytic drugs are isoxsuprine, indomethacin, calcium channel blockers, glyceryl trinitrate, atosiban and glyceryl trinitrate. Reference: Textbook of Obstetrics By D C Dutta, 6e page 508.